Bone resorption markers are all except
1. Tartarate resistant acid phosphatase
2. Osteocalcin
3. Cross linked-N-telopeptides
4. Urine total free deoxypyridiflolone

Correct answer: 2. Osteocalcin

Explanation: Tartrate-resistant acid phosphatase (TRACP) is an enzyme that is expressed in high amounts by bone resorbing osteoclasts, inflammatory macrophages and dendritic cells. Two forms of TRACP circulate in human blood, TRACP 5a derived from macrophages and dendritic cells, and TRACP 5b derived from osteoclasts. Recent data have demonstrated the utility of TRACP 5b as a marker of osteoclast number and bone resorption, and serum TRACP 5a as a marker of inflammatory conditions. Cross-linked N-telopeptide of type-I collagen (NTx) is one of the biochemical markers of bone resorption, and is widely used in clinical situations to evaluate the indication and efficacy of treatments for osteoporosis. Deoxypyridinoline (DPD) in urine, which reflects systemic bone resorption, is considered useful for assessing the effects of osteoporosis treatment. Refer robbins 9/e p774